In pneumothorax due to blunt injury, choice is ?
1. Observation
2. Pneumonectomy
3. Thoracotomy
4. Intercostal drainage

Correct answer: 4. Intercostal drainage

Explanation: Ans. is 'd' i.e., Intercostal drainage